Burkholderia capacia is infrequently seen in:
1. Pools
2. Plants
3. Soil
4. Air

Correct answer: 4. Air

Explanation: Burkholderia cepacia is a nonfermentative, aerobic, gram-negative bacillus formerly classified as Pseudomonas cepacia. It is an environment organism that is able to grow in water soil, plants, animals and decayed vegetable matters. B cepacia is divided into 9 genomovars that constitute the B cepacia complex (BCC). It is a colonizing bacteria with low virulence. Burkholderia cepacia can cause fatal necrotizing pneumonia in patients with cystic fibrosis or chronic granulomatous disease. It can also cause urinary, respiratory and wound infections, peritonitis endocarditis and septicaemia. B cepacia is resistant to most of the antibiotics. Good to know: It can grow in disinfectants like chlorhexidine, cetrimide and can even use pencillin G as a source of carbon. Ref: Jawetz, 'Medical microbiology', 23rd Edition, Page 265 ; Textbook of Microbiology, By R. Ananthanarayan, C.K. Jayaram Paniker, 7th Edition, Page 321.